Which of the following is the leading cause of death in brucellosis?
1. Mycotic aneurysms
2. Suppurative abscesses
3. Pneumonia
4. Endocarditis

Correct answer: 4. Endocarditis

Explanation: Endocarditic is the leading cause of death in brucellosis, although the outcome of Brucella endocarditis has been more favorable in recent years because of advances in early diagnosis, antibiotic treatment, and cardiac surgery.